The most definitive clinical sign of pregnancy is :
1. Ballottement
2. Fetal heart sounds
3. Braxton Hick's contraction
4. Enlarged uterus

Correct answer: 2. Fetal heart sounds

Explanation: Fetal heart sounds